Not included under category A Bioterrorism
1. Clostridium batulinum
2. Burk holderia mallei
3. Yessinia Pestis
4. Bacillus Anthracis

Correct answer: 2. Burk holderia mallei